Which nerve is the secretory nerve to the nasal glands?
1. Anterior ethimoidal
2. Posterior ethimoidal
3. Greater petrosal
4. Lesser palatine

Correct answer: 3. Greater petrosal

Explanation: The greater petrosal nerve, a branch of the facial nerve arises from the geniculate ganglion. It consists of preganglionic parasympathetic fibres which relay in the pterygopalatine ganglion and supply the secretomotor fibres to the lacrimal gland and the mucous glands of nasal cavity and palate.Anterior and posterior ethmoidal nerves and lesser palatine nerves supply the lateral wall of nose and nasal septum.Reference: Textbook of anatomy, Head Neck, and Brain, Vishram Singh, 2nd edition, page no.342,258